Recording posterior palatal seal is important for :
1. Retention of the denture.
2. Stability of the denture.
3. Support of the denture.
4. All of the above.

Correct answer: 1. Retention of the denture.